The smallest intestinal adult nematode is
1. Enterobius vermicularis
2. Necator americanus
3. Strongyloides stercoralis
4. Trichuris trichiura

Correct answer: 3. Strongyloides stercoralis

Explanation: Strongyloides stercoralis has the most complex life cycle of all the intestinal nematodes--and the greatest risk of acute, overwhelming infection. The adults measure only 2 mm in length, making them the smallest of the intestinal nematodes.Ref: Sherris microbiology; 6th edition; Page no: 858